Which of the following anti-influenza drug can cause "Livedo reticulosis"?
1. Laninamivir
2. Rimantidine
3. Amanitdine
4. Zanamivir

Correct answer: 3. Amanitdine

Explanation: Amanitdine acts by preventing uncoating of virus and used against influenza A. It is also used for the treatment of Parkinsonism. It can cause adverse effects like Ankle edema and Livedo reticulosis.